The following statement stands true for Mantoux test -
1. Test is read before 48 hrs
2. 6-9 mm induration shows maximum chances of developing TB
3. A positive test does not indicate that the person is suffering from disease
4. New cases are more likely to occur in tuberculin negative person than those who already are tuberculin reactors

Correct answer: 3. A positive test does not indicate that the person is suffering from disease